Pattern theory of pain control was given by
1. Von frey
2. Melzack
3. Goldschneider
4. Descartes

Correct answer: 3. Goldschneider